Spiral field defect is a feature of
1. Hysterical amblyopia
2. Amblyopia exanopsia
3. Toxic amblyopia
4. Malingering

Correct answer: 1. Hysterical amblyopia

Explanation: HYSTERICAL BLINDNESS It is a form of psychoneurosis, commonly seen in attention-seeking personalities, especially females. It is characterised by sudden bilateral loss of vision.There may be associated blepharospasm and lacrimation. Visual fields are concentrically contracted. One can commonly find spiral fields as the target moves closer to the fixation point. Pupillary responses are essentially normal and so is the blink response. Optokinetic nystagmus is intact. Treatment: Its treatment includes psychological support and reassurance. Ref:- A K KHURANA; pg num:-307